The most common cause of renal scaring in a 3 year old child is -
1. Trauma
2. Tuberculosis
3. Vesicoureteral reflux induced pyelonephritis
4. Interstitial nephritis

Correct answer: 3. Vesicoureteral reflux induced pyelonephritis

Explanation: Chronic pyelonephritis is characterized by renal inflammation and scarring induced by recurrent or persistent renal infection, vesicoureteral reflux, or other causes of urinary tract obstruction. VUR is a congenital condition that results from incompetence of the ureterovesical valve due to a short intramural segment Ref Harrison20th edition pg 234